“3-D” means in hospital waste management is
1. Destruction, deep burial, drainage
2. Discard, disinfection, drainage
3. Disinfection, disposal, drainage
4. Destruction, deep burial, disposal

Correct answer: 3. Disinfection, disposal, drainage